A 30 year-old-female presented in the emergency with sudden onset tachycardia and sense of impending dooms. Possible diagnosis is:
1. Conversion reaction
2. Anxiety disorder
3. Acute psychosis
4. Panic attack

Correct answer: 4. Panic attack

Explanation: Ans. Panic attack